Which is the preferred incision for abdominal exploration in blunt abdominal injury ?
1. Transverse incision
2. Paramedian incision
3. Always midline incision
4. Depending upon the organ

Correct answer: 3. Always midline incision

Explanation: The preferred incision for emergency abdominal exploration in blunt injury abdomen is midline laparotomy. This type of incision is preferred as it provides adequate exposure, associated with minimal blood loss, minimal nerve and muscle injury. Ref: Current Surgical Diagnosis & Treatment, 12th Edition, By Gerard M. Doherty, Page 230,31; Bailey and Love's Short practice of surgery , 24th Edition, Page 288